True about Giardia is
1. May cause traveller's diarrhoea
2. Giardia inhabits ileum
3. Trophozoites are infective to man
4. None of the above

Correct answer: 1. May cause traveller's diarrhoea

Explanation: Giardia can cause traveller's diarrhea.
Other protozoal causes of traveller's diarrhea


Entamoeba histolytica
Cyclospora
Cryptosporidium


Giardia inhabits the proximal small intestine i..e, duodenum and upper jejunum (not ileum)


The infective stage for giardia infection is a cyst (not trophozoites).